Which of the following is NOT a characteristic feature of allosteric enzymes?
1. They are multi enzyme complex
2. Follow michalis-mentin kinetics
3. Presence of modulator site
4. Give sigmoid shaped curve

Correct answer: 2. Follow michalis-mentin kinetics

Explanation: Ans. B. Follow michalis-mentin kineticsAllosteric enzymes are unique compared to other enzymes because of its ability to adopt various conditions in the environment. besides active sites, they possess additional sites known as allosteric sites. Allosteric enzymes are an exception to Michaelis- Menton model. Because they have more than two subunits and active sites.